What is/are the method/methods of transferring information in a biofilm?
1. Quorum Sensing
2. Conjugation
3. Plasmid transfer
4. All of the above

Correct answer: 4. All of the above